Breast examination is done yearly in patients with?
1. Multiple fibroadenoma
2. Family history of ca. breast
3. Carcinoma cervix
4. Endometrial carcinoma

Correct answer: 2. Family history of ca. breast

Explanation: Ans. is 'b' i.e. Family history of ca. breast